Isolation is strictly recommended for:
1. Mumps
2. Measles
3. Hepatitis A
4. Pneumonic plague

Correct answer: 4. Pneumonic plague

Explanation: Strict isolation is usually recommended in cases where it could prevent the transmission of infection. Though isolation can be recommended in the cases of mumps and measles but resultant effect in preventing the transmission is less compared to pneumonic plague. Strict isolation has no role in the control of transmission of hepatitis A due to the following two reasons: ? The shedding of virus is highest during the incubation period and during the early phase of illness ? Sub clinical cases occur in large numbers Ref: Park Textbook of Social and Preventive Medicine, 19th Edition, Pages 126-129, 131-132, 173-175, 244-249